Which of the following are used to protect airways -
a) LMA
b) Endotracheal tube 
c) Ryles tube 
d) Combitube
e) Sengsten blackmore tube
1. ad
2. abc
3. bd
4. bcd

Correct answer: 3. bd

Explanation: First you should know the meaning of airway protection.
Airway protection means protecting the lower airways against aspiration of regurgitated gastric contents.
Endotracheal intubation is the best mean to protect airways. Tubes used for endotracheal intubation are :-
Standard endotracheal tube         
RAE preformed tubes 
Spiral embedded (flexometallic armored tube)
Microlagngeal & laryngotracheal surgery tube
Colees tube & endotrol tube
Double lumen tube
About LMA

"The classic LMA should not be regarded as providing any protection against aspiration of regurgitated gastric contents and is contraindicated for patients who are not starved or who may have a full stomach".
—Core topics in airway management

However, if LMA uses devices with an additional esophageal drainage lumen, it can be used in patients with an increased risk of aspiration. Such devices are combitube, Easytube, and intubating LMA (fastrach).